The most definite clinical sign indicating odontogenic infection in to the masticatory space is:
1. Trismus
2. Xerostomia
3. Difficulty in swallowing
4. Swelling in submental area

Correct answer: 1. Trismus